Ethambutol should be used very cautiously in childhood tuberculosis due to which of its side effect ?
1. Ocular toxicity
2. Renal damage
3. Hepatotoxicity
4. Neurotoxicity

Correct answer: 1. Ocular toxicity